Econazole is useful for the treatment of all except
1. Tinea corporis
2. Histoplasma capsulatum
3. Cutaneous candidiasis
4. Tinea pedis

Correct answer: 2. Histoplasma capsulatum

Explanation: Ans. is 'b' i.e., Histoplasma capsulatum o Econazole is used only topically for dermatophytosis and Candida infection,o It is not used systemicaliy for deep infections,AZOLESo Azoles (imidazoles and triazoles) have broad spectrum antifungal activity, covering dermatophytes, Candida, other fungi involved in deep mycosis (except mucor). nocardia. some gram positive and anaerobic bacteria, e.g. staph aureus, strep fecalis. bac fragilis and leishmania.o Azoles are presently the most extensively used antifungal drugs.o Amongst imidazoles, ketoconazole is used systemicaliy as well as topically, while other four (clotrimazole, econazole, miconazole, oxiconazole) are used only topically,o Triazoles (fluconazole, itraconazole, variconazole) are used only systemicaliy.o Azoles act by inhibiting ergosterol synthesis.o Ketoconazole decreases androgen production from testis and it displaces testosterone from protein binding sites - gynaecomastia, loss of libido and hair, oligozoospermia.o Ketoconazole, itraconazole, voriconazole inhibit CYP3AY - dangerous arrhythmias with terfenadine. Astemizole and cisapride. Fluconazole causes ventricular tachycardia with cisapride (relatively safe),o Amongst azoles, fluconazole has best penetration into CSF - Preferred azole for cryptococcal meningitis.o Voriconazole has the widest spectrum, it is the DOC for invasive aspergillosis.o The specific side effects of voriconazole are visual disturbances like blurred vision, photophobia & altered color perception.o Posaconazole is the only azole active against mucormycosis.